More false positive cases in a screening test is due to -
1. Low prevalence
2. High specificity
3. High PPV
4. Low sensitivity

Correct answer: 1. Low prevalence

Explanation: Ans. is 'a' i.e., Low prevalenceo If a population has more false positive cases : -i) Screening test is more sensitiveii) Positive predictive value of the test is low.iii) Prevalence of disease is low.o If a population has more false negative casesi) Screening test is more specificii) Negative predictive value of the test is low